All of the following occur in mitochondria except :
1. Citric acid cycle (Kreb's cycle)
2. Glycogenolysis
3. Fatty acid oxidation
4. Electron transport chain

Correct answer: 2. Glycogenolysis

Explanation: Reactions that take place in
-        Mitochondrion

TCA cycle/ Citric acid cycle 
Beta oxidation of fatty acids 
Ketogenesis
Respiratory chain 
Part of Gluconeogenesis & Urea cycle

-        Cytosol

Glycolysis/EMP​
Pentose phosphate pathway​
Fatty acid synthesis​
Part of Gluconeogenesis & Urea cycle​
Glycogenolysis